Bennett's fracture is fracture dislocation of base of which of the following metacarpal?
1. 3rd
2. 4th
3. 1st
4. 2nd

Correct answer: 3. 1st

Explanation: Bennett's fracture dislocation is partial articular fracture of 1st metacarpal base with trapeziometacarpal dislocation/ subluxation. Also know Rolando's fracture dislocation: It is complete fracture of 1st metacarpal. It involves whole articular surface with comminuted T or Y intraarticular fracture. Ref: Apley's 8/e, Page 631-32; Watson Jones: fracture & Joint injuries 6/e, Page 760-62; Rockwood & Green's Fracture in Adults 6/e, Page 836-42.